The most common complication of immunosuppression is:
1. Malignancy
2. Graft rejection
3. Infection
4. Thrombocytopenia

Correct answer: 3. Infection

Explanation: Ans. (c) InfectionRef: Bailey 26th edition, Page 1416* Bacterial infection is most common in 1st month and is most common in those who are critically ill before and after transplant.* Viral infection is most common in 6 months--Most common is CMV > HSV* BK virus is universal in childhood causes urinary infection* Pneumocystis Jiroveci (Previously known as Pneumocystis carnii) is one important fungal infection.